A girl presents, with cystic swelling at the junction of lower 1/3rd and upper 2/3rd of anterior wall of vagina at 10 O' Clock position. The Diagnosis is:
1. Bartholin's cyst
2. Gartner's duct cyst
3. Adenocarcinoma
4. Vaginal Inclusion Cyst

Correct answer: 2. Gartner's duct cyst

Explanation: - Gartner's duct cyst Arises from remnant of the mesonephric duct Located in the anterolateral wall aspect of the vagina Small cyst: Asymptomatic Large cyst if causes dyspareunia : excision - A Bartholin cyst occurs due to blockage of duct of bartholin glands. It is located on the inner side of labia minora in the postero-lateral vaginal wall usually. It might get infected leading to symptoms.